All of the following are bactericidal except-
1. Cephalexin
2. Rifampicin
3. Isoniazid
4. Oxytetracycline

Correct answer: 4. Oxytetracycline

Explanation: Ans. is 'd' i.e., Oxytetracycline o All cell wall synthesis inhibitors are bactericidal. o All antibacterial drugs that act on cell membrane are bactericidal. o All first line antitubercular drugs are bactericidal except ethambutol that is bacteriostatic. o All protein synthesis inhibitors are bacteriostatic except aminoglycosides & streptogramins which are bactericidal. o All drugs affect intermediary metabolism are bacteriostatic.